Most common cause of epilepsy in pregnancy:
1. TB Meningitis
2. Cerebral malaria
3. Tumour
4. Idiopathic

Correct answer: 4. Idiopathic

Explanation: Epilepsy in pregnancy Most common cause - Idiopathic It is the most common neurological disorder in pregnancy. 30% patients have | convulsions 20% patients have | convulsions 50% patients - convulsions frequency remains unchanged